Characteristic features of meningioma are all except –
1. Dural tail sign
2. Hyperostosis
3. Prominent vascularity
4. Intra–axial tumor

Correct answer: 4. Intra–axial tumor

Explanation: Meningioma is an extra-axial tumor (not intra-axial).